All of the following are attached to the greater trochanter of femur, EXCEPT:
1. Gluteus minimus
2. Gluteus medius
3. Gluteus maximus
4. None of the above

Correct answer: 3. Gluteus maximus

Explanation: The greater trochanter provides attachment for the smaller gluteal muscles. Gluteus minimus is attached to its rough anterior impression and gluteus medius to its lateral oblique strip. The bone is separated from the tendon of gluteus medius by a bursa. The area behind is covered by deep fibres of gluteus maximus, with part of its trochanteric bursa interposed. The tendon of piriformis is attached to the upper border of the trochanter and the common tendon of obturatorinternus and the gemelli are attached to its medial surface. The trochanteric fossa receives the tendon of obturatorexternusRef: Gray's anatomy 40th edition, Chapter 111